Tubercular laryngitis affects primarily:
1. Anterior commissure
2. Posterior commissure of larynx
3. Anywhere within the larynx
4. Superior surface of larynx

Correct answer: 2. Posterior commissure of larynx

Explanation: (b) Posterior commissure of larynx(Ref. Scott Brown, 8th ed., Vol 3; 1018)Mostly the granulomatous conditions of the larynx start in the anterior part of the larynx except for tuberculosis which starts and mainly involves the posterior part.